Synthesis of type I collagen requires which vitamin?
1. Vitamin A
2. Vitamin C
3. Vitamin D
4. Vitamin K

Correct answer: 2. Vitamin C

Explanation: Basically for any type of collagen vitamin C is required Collagen Synthesis requirements: 1. Hydroxylation reaction for proline and lysine is done, and for both these reactions Vitamin C, Fe, Prolyl hydroxylase, Lysyl hydroxylase are required Fig- hydroxylation reaction needed for collagen biosynthesis 2. Glycosylation reaction (adding carbohydrate on it) here the enzyme required is Lysyl oxidase and this oxidase require copper. So, for the synthesis of collagen we require: 2 Metals - Fe, Cu 1 Vitamin -Vitamin C 3 Enzymes